A 27 year old patient presented with left sided abdominal pain to the emergency room, 6 hours after an RTA. He was hemodynamically stable and FAST positive. Contrast Enhanced CT (CECT) scan showed grade III splenic laceration. What will be the most appropriate treatment?
1. Splenectomy
2. Splenorrhaphy
3. Splenic Artery Embolization
4. Conservative Management

Correct answer: 4. Conservative Management

Explanation: There are criterias for conservative mangement in splenic injured patients such as hemodynamical stability, minimal transfusion requirement, no other abdomen injuries and ablity to perform series of abdominal examination. A stable defect on repeat imaging also supports. As this patient is hemodynamically stable, with no other abdominal injuries along with grade iii laceration of spleen will fit in this criterion. Ref: Surgery : Basic Science and Clinical Evidence By Jeffrey A. Norton, Philip S. Barie, Randall Bollinger, 2nd Edition, Pages 1116, 1117